Brain dead individulas have all of the following features EXCEPT
1. Dolls eye movement is absent
2. Occulovestibular absent
3. Only pain is preserved
4. Corneal reflex absent

Correct answer: 3. Only pain is preserved

Explanation: (C) Only pain is preserved# BRAIN-DEAD individual has no clinical evidence of brain function upon physical examination. This includes no response to pain and no cranial nerve reflexes. Reflexes include pupillary response (fixed pupils), oculocephalic reflex, corneal reflex, no response to the caloric reflex test, and no spontaneous respirations.> In comatose patients, once it has been determined that the cervical spine is intact, a test of the vestibulo-ocular reflex (VOR), also known as the oculocephalic reflex or dolls eye reflex can be performed by turning the head to one side.> A positive response occurs when the eyes rotate to the opposite side to the direction of head rotation, thus indicating that the brainstem (CN3,6,8) is intact. Vertical oculo-vestibular eye responses can be assessed by irrigating both ears simultaneously.> If the brainstem is intact, cold water causes the eyes to deviate downwards and warm water causes the eyes to deviate upwards.